Essential amino acids are named so:
1. Because they are produced in the body
2. Because they are not produced in the body
3. They are not important for life
4. Every food stuff essentially contains them

Correct answer: 2. Because they are not produced in the body

Explanation: Essential amino acids are so called not because they are more important to life than the others, but because the body does not synthesize them, making it essential to include them in one's diet in order to obtain them. They are Leucine, Arginine, Histidine, Isoleucine, Meyhionine, Phenylalanine, Threonine, Tryptophan, Valine and lysine. Additionally, cysteine (or sulphur-containing amino acids), tyrosine (or aromatic amino acids), histidine and arginine are required by infants and growing children.